Chandlers Index is used in epidemiological studies of:
1. Round worm
2. Hook worm
3. Guinea worm
4. Sand fly

Correct answer: 2. Hook worm

Explanation: Chandler's index is used to identify the importance of hookworm infestation as a public health problem in a community. It is calculated based on average number of hookworm eggs / gram of stool. Average no. of hookworm eggs/gm of stool Significance of hookworm infestation <200 Not much significance 200-250 Potential danger 250-300 Minor public health problem >300 Major public health problem Ref: Park's textbook of Preventive and Social Medicine, 21st edition, page-221